A free radical is
1. Any charged particle
2. An atom or molecule with an unpaired electron in the outer shell
3. An atom with an even number of electrons
4. A chemically stable atom

Correct answer: 2. An atom or molecule with an unpaired electron in the outer shell

Explanation: Free radicals are atoms or groups of atoms with an odd (unpaired) number of electrons.Reference: Khan Physics of Radiation therapy; 5th edition